In case of Hanging, postmortem examination may show a tear in carotid artery. This sign is called
1. Battle sign
2. Amussat's sign
3. Nutcracker sign
4. Ring sign

Correct answer: 2. Amussat's sign

Explanation: Carotid Artery may show transverse tear in the intima in hanging cases which is called as Amussat's sign Reff: The synopsis of forensic medicine & Toxicology 28th editipn pg: 184